Insulin acts by stimulation of:
1. Ionotropic receptor
2. Enzymatic receptor
3. Metabotropic receptor
4. Nuclear receptor

Correct answer: 2. Enzymatic receptor

Explanation: (Ref: KDT 6/e p258) Insulin acts by stimulation of tyrosine kinase receptors.